"Egg on side appearance" is seen in:
1. Fallot's tetralogy
2. Transposition of great vessels
3. Ebstein's anomaly
4. Ventricular septal defect

Correct answer: 2. Transposition of great vessels

Explanation: b. Transposition of great vessels(Ref: Nelson's 20/e p 2223-2225, Ghai 8/e p 424-426)Congenital heart diseasesImportant chest X-ray findingTransposition of great vessels'Egg on side' appearanceTetralogy of FallotBoot shaped heart or 'Coren sabot' appearanceSupracardiac TAPVC'Figure of 8' or Snowman appearanceEbstein anomalyBox shaped heart